Which of the following is a common feature of NSAID induced allergic interstitial nephritis?
1. Fever
2. Rash
3. Eosinophilia
4. Heavy proteinuria

Correct answer: 4. Heavy proteinuria

Explanation: The classic presentation of allergic interstitial nephritis (AIN), include fever, rash, peripheral eosinophilia, and oliguric renal failure. But in nonsteroidal anti-inflammatory drug (NSAID)-induced AIN, fever, rash and eosinophilia are rare, but acute renal failure with heavy proteinuria is common. Ref: Harrisons principles of internal medicine, 18th edition, Page: 2368.